Following are contraindication to External Cephalic Version except :
1. Contracted pelvis
2. Antepartum hemorrhage
3. Multiple pregnancy
4. Hydramnios

Correct answer: 4. Hydramnios

Explanation: Hydramnios